Delirium tremens is seen in -
1. Alcohol withdrawal
2. Alcoholoverdoses
3. Morphine poisoning
4. Atropine poisoning

Correct answer: 1. Alcohol withdrawal

Explanation: Ans. is 'a' i.e., Alcohol withdrawal Delirium tremensDelirium tremens is the most severe alcohol withdrawal syndrome. It occurs usually within 2-4 days of complete or significant alcohol abstinence. This is an acute organic brain syndrome (delirium) with characteristic features of delirium.Clouding of consciousness with disorientation in time and place.Poor attention span and distractability.Visual (and also auditory) hallucination, and illusion. Tactile hallucination of insect crawling under the skin (formication) may also occur.Marked autonomic disturbances with tachycardia, sweating, hypertension, mydriasis, coarse tremers.Insomnia, psychomotor agitation, ataxia, anxiety.Benzodiazepines are the drugs of choice for delirium tremens. Chlordiazepoxide is the agent of choice w ith diazepam as an alternative.